Blunting of affect is seen in
1. Schizophrenia
2. Depression
3. Mania
4. Delirium

Correct answer: 1. Schizophrenia

Explanation: Ans. a (Schizophrenia). (Ref. Harrison, Medicine, 15th ed., 2554; Psychiatry by Niraj Ahuja, 5th ed., 55)EUGEN BLEULER'S FUNDAMENTAL SYMPTOMS OF SCHIZOPHRENIA (4 A'S)# Ambivalence (marked inability to decide for or against)# Autism (withdrawal into self)# Affect blunting (disturbance of affect)# Association disturbances (loosening of association, thought disorder)